Ligament of Treitz
1. Supports DJ Flexure
2. Is at Ileocaecal junction
3. Arises from left crus of diaphragm
4. Contain smooth muscle fibres only

Correct answer: 1. Supports DJ Flexure

Explanation: 1.It is a fibromuscular band to support the duodenojejunal flexure and arises from the right crus of the diaphragm.2.It has both the skeletal (diaphragmatic) as well as smooth (intestinal) muscles in it.3.It increases the DJ angulation and may cause partial obstruction at the site.It is also known as Suspensory ligament of the duodenum